Fixed drug eruptions can be seen more frequently with -
1. Penicillin
2. Sulfonamide
3. Cetrizine
4. Roxithromycin

Correct answer: 2. Sulfonamide

Explanation: The Baczol Antigripal ingredients included the sulfonamide-containing antibiotic trimethoprim-sulfamethoxazole (TMP/SMX), which is a common cause of fixed drug eruption. In June 2013, another Salvadoran-American child, a girl aged 14 years living in northern Virginia, was evaluated for a similar fixed drug eruption likely caused by a Baczol product purchased near her home. In August 2013, staff members from the Children's National Medical Center investigated the availability of Baczol products in grocery stores in Salvadoran Ref Harrison20th edition pg 1324